"Champagne Glass" pelvis is seen in:
1. Achondroplasia
2. Cretinism
3. Down's syndrome
4. Congenital dislocation of hip

Correct answer: 1. Achondroplasia

Explanation: Ans. Achondroplasia